Most common benign lesion of larynx in the pediatric age group is
1. Granular cell tumor
2. Chondroma
3. Juvenile papillomatosis
4. Solitary papilloma

Correct answer: 3. Juvenile papillomatosis

Explanation: Juvenile papillomatosis is the most common benign neoplasm of the larynx in children. It is viral in origin and is caused by human papilloma DNA virus type 6 and 11. It is presumed that affected children got the disease at birth from their mothers who had vaginal human papilloma virus disease.Patient, often a child, between the age of 3 and 5 years presents with hoarseness or aphonia with respiratory difficulty or even stridor.Dhingra 6e pg: 306